Not a component of POEMS syndrome:
1. Polyneuropathy
2. Esophageal atresia
3. Endocrinopathy
4. Multiple myeloma

Correct answer: 2. Esophageal atresia

Explanation: Ans. (b) Esophageal atresiaRef: Harrison 18th Edition, Page 943 Crow - Fukase syndrome* The features of this syndrome are highlighted by Acronym: POEMS* POEMS - Polyneuropathy, Organomegaly, Endocrinopathy, M- protein, Skin Changes.